Classification of shigella is on the basis of fermentation of
1. Lactose
2. Sucrose
3. Mannitol
4. Glucose

Correct answer: 3. Mannitol

Explanation: Classification of shigella is done on the basis of fermentation of mannitol Exceptiom-Non mannitol fermenter i.e Shigella dysenteriae which is also catalase negative. The most common cause of bacillary dysentery in India is Shigella flexneri and in world is Shigella sonnei which is late lactose fermenter.